False regarding REM sleep is -
1. Dreaming sleep
2. Slow eye movements present
3. Paradoxical sleep
4. Alpha waves are seen

Correct answer: 2. Slow eye movements present

Explanation: Paradoxical sleep, rapid eye movement (not slow), dreaming, generalized muscular atony, penile erection (tumescence), autonomic hyperactivity (Increased pulse rate & BP), and intermittent movement of small muscle groups.